In the case of a 70 year old lady with intracapsular fracture of the neck of femur, the ideal treatment would be-
1. Closed traction
2. Hemiarthroplasty
3. Internal fixation with nail
4. Internal fixation with nail and plate

Correct answer: 2. Hemiarthroplasty

Explanation: * Treatment of choice in patients 70 years or above is arthroplasty; either hemiarthroplasty (if no pre- existing arthritis) or total hip replacement (if pre-existing arthritis is present). Hemiarthroplasty * Half joint replacement * Hemiarthroplasty involves replacing the femoral head with a prosthesis, while retaining the natural acetabulum (endoprosthesis) * Fractures of the neck of femur is the commonest fracture in old aged individuals because of severe osteoporosis and advancing age causing more brittleness of the bone * Non union and avascular necrosis are the two principal complications of this fracture * Almost 45yrs ago prosthetic replacement was introduced for solving the unsolved problems of fracture Neck Of Femur * Vitallium intramedullary prosthesis had definite role in its treatment. Ref: Maheshwari 9th ed pg 135